In which case homologous artificial insemination is used in females:
1. Hormonal disturbance
2. Tubal block
3. Cervical factor
4. All of the above

Correct answer: 3. Cervical factor

Explanation: Cervical factor:cervical mucous protects sperm from the hostile environment of the vagina and also phagocytosis.cervical factor when cannot be treated is overcome by ART procedures IUI,IVF,GIFT. cervical mucous quality improved by conjugated estrogen 1.25mg orally daily starting on day 8 for 5 days D.C.DUTTA'S TEXTBOOK OF GYNAECOLOGY,Pg no:249,6th edition